Which of these is not a risk factor for thromboembolism -
1. Myocardial infarction
2. Estrogen therapy
3. Hypertension
4. Superficial thrombophlebitis

Correct answer: 3. Hypertension

Explanation: All those factors which promote DVT are also risk factors for thromboembolism. Superficial thrombophlebitis itself cannot cause thromboembolism (as thrombus formed in superficial thrombophlebitis strongly adhere to the venous wall) but it is a risk factor for DVT. The thrombosis in superficial thrombophlebitis can extend into the deep venous system causing DVT. Estrogen & Myocardial infarction are risk factors for DVT and thromboembolism Estrogen leads to a hypercoagulable state. Myocardial infarction causes bed rest leading to stasis.